False about SAPHO syndrome
1. Rheumatoid factor negative
2. 'P' stands for psoriasis
3. HLA B-27 positive
4. 'S' stands for synovitis

Correct answer: 2. 'P' stands for psoriasis

Explanation: SAPHO -
S - Synovitis
A - Acne
P - Pustulosis palmoplantar
H - Hyperostosis
O - Osteitis